Contraindications for medical method (mifepristone misoprostol) of first trimester MTP?
1. Patient with hemoglobin of 7 gm%
2. Suspected ectopic pregnancy
3. Glaucoma
4. All of the above

Correct answer: 4. All of the above

Explanation: Ans. is 'd' i.e., All of the aboveContraindications (due to medical reasons) for medical method of abortion:Smoking > 35 yearsHemoglobin < 8 g%Ectopic pregnancy/ adnexal massCoagulopathyChronic adrenal failureUncontrolled hypertension ( BP>160/100mmHg)CVDSevere renal, hepatic or respiratory diseasesGlaucomaUncontrolled seizureAllergy or intolerance to mifepristone /misoprostol or other prostaglandinsLack of access to 24 hours emergency services